Postero lateral anconeus triangle is formed by:
1. Head of radius, lateral epicondyle, medial epicondyle
2. Head of radius, lateral epicondyle, olecranon
3. Olecranon, medial epicondyle, neck of radius
4. Neck of radius, head of radius, lateral epicondyle

Correct answer: 2. Head of radius, lateral epicondyle, olecranon

Explanation: Radial head, lateral epicondyle and tip of olecranon form the triangle over the posterolateral aspect of elbow joint. This space is occupied by the anconeus muscle and so known as anconeus triangle. Ref: Rockwood and Green's Fractures in Adults 6/e, Page 990-92.